Treatment of Torsades de pointes is intravenous
1. magnesium
2. sodium bicarbonate
3. Saline
4. Glucose

Correct answer: 1. magnesium